Which of the following condition is typically associated with bilateral inferior lens subluxation of the lens?
1. Ocular trauma
2. Homocystinuria
3. Hyperinsulinemia
4. Marfan's syndrome

Correct answer: 2. Homocystinuria

Explanation: In homocystinuria, there is bilateral subluxation of the lens downwards and nasally. Other systemic features found in this condition are fair complexion, malar flush, intellectual disability, fits and poor motor control. Ref: Comprehensive Ophthalmology By A K Khurana, 4th Edition, Pages 202-3.